What is the term used for microbial killing by an antibiotic below its "Minimum inhibitory concentration"?
1. Concentration dependent killing
2. Time dependent killing
3. Sequential blockade
4. Post antibiotic effect

Correct answer: 4. Post antibiotic effect

Explanation: Post antibiotic effect refers to continued suppression of bacterial growth that persists after removal of an antimicrobial agent. When a drug has prolonged post antibiotic effect it may be effective against pathogens even during intervals between the doses when serum and tissue levels have dropped below MIC. Carbapenems have post antibiotic effect against gram negative bacilli. Aminoglycosides and fluoroquinolones have prolonged in vitro post antibiotic effect against gram negative bacilli. Ref: Selected Read. In Microbiology & Genetics (3 Vol) By Yanka Gupta, page 240.